Anti - GDI antibodies are seen in which variant of GBS?
1. AIDP
2. AM AN
3. AMSAN
4. MFS

Correct answer: 2. AM AN

Explanation: ANSWER: (B) AMANREF: Harrison 18th ed ch: 385The question is based upon knowledge of variants Of GBS which are summarized in the tableSUBTYPES OF GUILLAIN -BARRE SYNDROME (GBS)SubtypeFeaturesElectrodiagnosisPathologyAcuteInflammatorydemyelinatingpolyneuropathy(AIDP)Adults affected more than children; 90% of cases in western world; recovery rapid; anti-GMl antibodies (<50%)DemyelinatingFirst attack on Schwanncell surface; widespreadmyelin damage, macrophage activation, and lymphocytic infiltration; variable secondary axonal damageAcute motor axonal neuropathy (AM AN)Children and young adults; prevalent in China and Mexico; may he seasonal; recovery rapid; anti-GDla antibodiesAxonalFirst attack at motor nodesof Ranvier; macrophage activation, few lymphocytes, frequent periaxonal macrophages; extent of axonal damage highly variableAcute motor sensory axonal neuropathy (AMSAN)Mostly adults; uncommon; recovery slow, often incomplete; closely related to AMANAxonalSame as AMAN, but also affects sensory nerves and roots; axonal damage usually severeM. Fisher syndrome (MFS)Adults and children; uncommon;ophthalmoplegia, ataxia, and arefiexia; anti-GQlb antibodies (90%)DemyelinatingFew cases examined; resembles AIDP